Tributaries of cavernous sinus are all except ?
1. Inferior cerebral vein
2. Central vein of retina
3. Sphenoparietal sinus
4. Superior cerebral vein

Correct answer: 4. Superior cerebral vein

Explanation: Ans. is 'd' i.e., Superior cerebral veinTributaries (incoming channels) of cavernous sinusSuperior ophthalmic veinA branch of inferior ophthalmic vein or sometimes vein itselfCentral vein of retina (it may also drain into superior ophthalmic vein)Superficial middle cerebral veinInferior cerebral veinSphenoparietal sinusFrontal trunk of middle meningeal vein (it may also drain into pterygoid plexus or into sphenoparietal sinus)Draining channels (communications) of cavernous sinusInto transverse sinus through superior petrosal sinusInto internal jugular vein through inferior petrosal sinus and through a plexus around the ICAInto pterygoid plexus of veins through emissary veinsInto facial vein through superior ophthalmic veinRight and left cavernous sinus communicates with each other by anterior and posterior intercavernous sinuses and through basilar plexus of veins